Which of the following Vitamin is an antioxidant-
1. Vitamin D
2. Vitamin E
3. Vitamin K
4. Vitamin B]

Correct answer: 2. Vitamin E

Explanation: Ans. is 'b' i.e., Vitamin E Vitamin E tcc-TocopheroIlo Vitamin E is sometimes described as anti-sterility vitamin.o However, its anti-sterility function is seen only in some animals and not in human beings,o Vitamin E activiy is present in several tocopherols, the most important being a-, b-, g- and d- tocopherol. a Tocopherol is the most abundant and is taken as the standard,o The most important function of vitamin E in human beings is to act as an anti-oxidant,o It prevents the oxidation of other antioxidants, .e.g, carotenes, vitamin A and vitamin C.o Vitamin E is the lipid-soluble antixodant in cell membranes and plasma lipoproteins.o The main function of vitamin E is as a chain-breaking, free radical-trapping antioxidant in ceil membranes and plasma lipoproteins by reacting with lipid peroxide radicals formed by peroxidation of polyunsatured fatty acid,o Vitamin E prevents rancidity of fats due to its antioxidant action.Antioxidant vitamins are :-i) Vitamin - A (carotenes)ii) Vitamin - Ciii) Vitamin-E